Pugilistic attitude is seen in death due to
1. Drowning
2. Hanging
3. Heavy metal poisoning
4. Burns

Correct answer: 4. Burns

Explanation: Ans. d (Burns). (Ref. Textbook of FMT by Parikh 5th ed., 379)Pugilistic attitude is seen in cases of bums, & is due to coagulation of proteins other than those affected by rigor mortis.It has no medicolegal importance, as it is present in both antemortem bums as well as postmortem burns.